Substance with same atomic number but different mass number –
1. Isotope
2. Isobar
3. Atom
4. Mineral

Correct answer: 1. Isotope

Explanation: Isotopes → Atoms of the same elements with same atomic number but different atomic mass (mass number).